The term curettage is derived from the word "curette" which means
1. To 'penetrate'
2. To 'cleanse'
3. To 'deviate'
4. To 'enucleate'

Correct answer: 2. To 'cleanse'